Structures passing through obturator foramen are all EXCEPT:
1. Internal Pudendal vessels
2. Obturator Nerve
3. Obturator Artery
4. Obturator Vein

Correct answer: 1. Internal Pudendal vessels

Explanation: Internal Pudendal Vessels pass through greater and lesser sciatic foramina(not through obturator foramen). The obturator artery,obturator vein, and obturator nerve all travel through the canal. fig :-structure passing through sciatic foramina